Lower end of femur is ossified from how many ossification centers
1. 1
2. 2
3. 3
4. 4

Correct answer: 1. 1

Explanation: FEMUR OSSIFICATION:- Femur ossifies from 1 primary and 4 secondary centres. Primary centre for shaft: appears in 7th week of intrauterine life. Secondary centres: Lower end-1-end of 9 th month of intrauterine life.Head-1-6 months of life.Greater trochanter-1-4th year.Lesser trochanter-1-12th year. 3epiphyses at upper end1 epiphyses at lower end.Upper epiphyses-lesser trochanter, greater trochanter and head in that order fuses at about 18 yrs.Lower epiphyses fuses by 20th yr. Ossification of lower end is of medicolegal importance. Presence of its centre in a newly born child found dead indicates that the child was viable.i.e. It was capable of independent existence. Lower end of femur is the growing end. {Reference: BDC 6E pg no.19}